Tattoo marks are not visible during autopsy as confirmed by relatives where tattooing can be check next during autopsy
1. Skin
2. Blood vessels
3. Liver
4. lymph Nodes

Correct answer: 4. lymph Nodes

Explanation: ref : narayanareddy